Long acting dopamine agonist is
1. Bromocriptine
2. Lisuride
3. Cabergoline
4. Apomorphine

Correct answer: 3. Cabergoline

Explanation: Bromocriptine has greater action on D2 receptors. Cabergoline is more potent and longer acting than bromocriptine. ERGOT-DERIVED DOPAMINE AGONISTS Examples of this type of dopamine agonist are bromocriptine, pergolide, lisuride, and the long acting ergoline, cabergoline. (REF.Essential of medical pharmacology K D TRIPATHI 6 Edition, Page No - 237)